Apnea of prematurity of lasts for ?
1. 10 sec
2. 15 sec
3. 20 sec
4. 30 sec

Correct answer: 3. 20 sec